Exclamation mark alopecia is a feature of -
1. Telogen effluvium
2. Androgenic alopecia
3. Alopecia aerata
4. Alopecia mucinosa

Correct answer: 3. Alopecia aerata

Explanation: Short,1-2 mm fractured hairs can frequently be seen at the active margins of alopecia areata. These hairs are described as exclamation mark hairs because these characteristic hairs fracture at their distal end and taper proximally to a pencil point giving them appearance of an exclamation mark Ref Harrison20th edition pg 1233